Boerhaave syndrome involves perforation of which part?
1. Upper 1/3 esophagus
2. Middle 1/3 esophagus
3. Lower 1/3 esophagus
4. Fundus of stomach

Correct answer: 3. Lower 1/3 esophagus

Explanation: Ans. is 'c' i.e., Lower 1/3 esophagus * Boerhaave's syndrome is spontaneous perforation of the esophagus, occuring usually due tosevere barotrauma when a person vomits against a closed glottis. The pressure in the esophagus rapidly increases and the esophagus bursts at its weakest point, sending a stream of material into the mediastinum and often the pleural cavity as well.* Most common location of perforation is in the left posterolateral aspect 3-5 cm above the gastroesophageal junction. Second most common site of perforation is at the midthoracic esophagus on the right side.* Most cases follow a bout of heavy eating and drinking.* The principal early manifestation is pain felt in the chest and upper abdomen.